Which of the following drug can cause cartilage damage in children?
1. Cotrimoxazole
2. Penicillin
3. Ciprofloxacin
4. Metronidazole

Correct answer: 3. Ciprofloxacin

Explanation: Ciprofloxacin (prototype) It is the most potent first generation FQ active against a broad range of bacteria, the most susceptible ones are the aerobic gram-negative bacilli, especially the Enterobacteriaceae and Neisseria. The MIC of ciprofloxacin against these bacteria is usually < 0.1 J.Ig/ml, while grampositive bacteria are inhibited at relatively higher concentrations On the basis of the finding that administered to immature pups ciprofloxacin (and other FQs) caused cartilage damage in weight bearing joints, the FQs have been contraindicated in children. However, under pressing situations like Pseudomonas pneumonia in cystic fibrosis and multi-resistant typhoid, ciprofloxacin has been administered to millions of children in India and elsewhere. Though a few cases of joint pain and swelling have been reported, cartilage damage has not occurred. Caution may seem prudent while using FQs in children. Essentials of medical pharmacology K D Tripathi Sixth edition Pg no 688 689